Which of the following Immunoglobulin protects the body surface:
1. IgD
2. IgG
3. IgA
4. IgM

Correct answer: 3. IgA